26. Bernoullis theorem explains:
1. nasal polyp
2. Thyroglossal cyst
3. Zenkers diverticulum
4. Laryngomalacia

Correct answer: 1. nasal polyp

Explanation: Bernoulli's phenomenon: Pressure drop next to a constriction causes a suction effect pulling the sinus mucosa into the nose, usually associated with antrochoanal polyps. Nasal polyps follow the Bernoulli's theorem as, the increased speed of the air flowing through the nose decreases the pressure in the nasal cavity, which pulls down the polyp. Ref: Internet sources